Resse Ellsworth classification is for which of the following conditions
1. Hypertensive retinopathy
2. Optic nerve glioma
3. Retinoblastoma
4. Choroidal melanoma

Correct answer: 3. Retinoblastoma

Explanation: Ans. (c) Retinoblastoma style="font-size: 1.04761904761905em; font-family: Times New Roman, Times, serif">Ref: ; Retina by Ryan, 5/e, p. 2114In the 1950's, the Reese-Ellsworth classification system was developed to predict the prognosis after treatment with radiation, but in 1990 the focus shifted from EBRT to chemotherapy and the classification followed now is ICRB).